Landmark of geniculate ganglion for facial nerve decompression:
1. Pyramid
2. Processus cochleariformis
3. Incus neck
4. Oval window

Correct answer: 2. Processus cochleariformis

Explanation: Ans. B. Processus cochleariformisExplanationProcessus cochleariformis. It demarcates the geniculate ganglion which lies just anterior to it. Tympanic segment of the nerve starts at this level.Oval window and horizontal canal. The tympanic segment of facial nerve runs above the oval window (stapes) and below the horizontal canal.Short process of incus. Facial nerve lies medial to the short process of incus at the level of aditus.Pyramid. Nerve runs behind the pyramid and the posterior tympanic sulcus.